Most common site for medulloblastoma is:
1. Medulla
2. Cerebellum
3. Cerebrum
4. Pineal gland

Correct answer: 2. Cerebellum

Explanation: Medulloblastoma usually arise in the midline of the cerebellum (the vermis) in children. In adults, where the incidence is much less than in children, they are more apt to arise in the cerebellar hemispheres in a lateral position. Mostly supratentorial CNS tumors occurs in adults. Infra tentorial tumors occur in childhood.